Which is not a peptide hormone?
1. Somatostatin
2. Serotonin
3. Neuropeptide
4. Enkephalin

Correct answer: 2. Serotonin

Explanation: Somatostatin is a polypeptide hormone.